A sub-center caters to the needs of--population -
1. 30000
2. 15000
3. 5000
4. 10000

Correct answer: 3. 5000

Explanation: Ans- C 5000 Ref: Park, 22nd edi; Pg: 843, 845 a. The sub-center is a peripheral outpost of existing health care delivery system in rural area, which are established for every 5000 population in general and every 3000 population in hilly, tribal and backward areas. b. Currently a subcentre is staffed by 1 Female health worker known as Auxillary Nurse Midwife (ANM) and 1 male health worker known as Multipurpose worker - Male c. The Ministry of Health and Family welfare, Govt of Indial provides assistance to all subcentres since April 2002. In the form of salary of ANMs and Lady health visitors rent and contingency. d. The salary of Male health worker is borne by the state governments. e. A voluntary worker is provided at the subcentre level as a helper to ANM. The ANM pays to this voluntary worker from her contingency fund. f. The voluntary worker at the subcentre level should be preferably a Trained Birth Attendant (TBA) and be paid Rs 200 / - at least (With equal contribution by the government of india and the concerned state.) g. The services provided by Subcentre are known as ASSURED SERVICES under the Indian Public Health Standards. h. Manpower requirement : i. In order to provide proper services, each subcentre should have the following personnel : MANPOWER EXISTING PROPOSED Health worker - Female / ANM 1 2 Health worker - Male / MPW 1 1 (Funded and appointed by the state govt.) Voluntary worker to keep the subcentre clean and assist the ANM. She is paid by the ANM from her contingency fund Rs 100 / pm. 1 (optional) 1(optional) Total 2 / 3 3 / 4